Lethargic, hypoglycemic female neonate with scrotum-like labia majora is suggestive of-
1. Congenital adrenal hyperplasia
2. Turner's syndrome
3. Klinefelter's syndrome
4. Ovo-testicular disorder of sexual development

Correct answer: 1. Congenital adrenal hyperplasia

Explanation: Above history point towards diagnosis of Congenital adrenal hyperplasia: - Due to deficiency of enzyme 21-Hydroxylase There is lack of cortisol production resulting in excess of Adrenocorticotropic hormone (ACTH) production from pituitary. Features: - Enlarged clitoris Presence of penile urethra or hypospadias Associated metabolic abnormality -Salt wasting (hyponatremia, hyperkalemia) Fusion of Labia majora Lethargic hypoglycemic females. Investigations: - Karyotype is 46 XX Serum estimation Sex chromatin study reveals positive Barr body Sonographic evaluation